A 16 years old female patient has abdominal lump that is movable and painless, upon exploratory laparotomy a cystic lump is found arising from mesentery, diagnosis is
1. Enterocele
2. Mesenteric cyst
3. Choledochal cyst
4. Pancreatic pseudocyst

Correct answer: 2. Mesenteric cyst

Explanation: Answer- B. Mesenteric cystMesentric cyst present asA painless abdominal swellingThe swelling moves freely in a plane at right angles to the attachment of the mesentry.Recurrent attacks of abdominal pain with or without vomiting due to obstructive symptoms.